The number of independent members in the sample is:
1. Null
2. Degree of freedom
3. Bias
4. Significance

Correct answer: 2. Degree of freedom